A young man with pulmonary tuberculosis presents with massive recurrent hemoptysis. For angiographic treatment, which vascular structure should be evaluated first –
1. Pulmonary artery
2. Bronchial artery
3. Pulmonary vein
4. Superior vena cava

Correct answer: 2. Bronchial artery

Explanation: "A wide variety of lung diseases may cause hemoptysis, including tuberculosis. The most common source of bleeding are bronchial arteries".